Hydroxyl ions are destroyed in the body by?
1. Vitamin C
2. Vitamin A
3. Vitamin K
4. Vitamin D

Correct answer: 1. Vitamin C

Explanation: Ans. is 'a' i.e., Vitamin-C "Vitamin C and other water soluble compounds, such as uric acid, thiols including glutathione and dihydrolipoic acid and possibly other substances such as metallothioneiny serve to defend against hydroxyl radicals. Vitamin E, in contrasty is less effective in eliminating hydroxyl radicals ." - Advanced nutrition and Human metabolism 6th/e p 420